A group of friends had a party together, After 4 hours, few of them had diarrhoea and vomiting. Organism responsible for food poisoning is :
1. S-typhi
2. CL.perfringens
3. B.cereus
4. Camp. jejuni

Correct answer: 3. B.cereus

Explanation: Incubation period of food poisoning
1-6 hours - S.auerus and B.cereus
8-24 hours- clostridium